Gingival index was given by
1. Sillness and glass
2. Loe and sillness
3. Glass and loe
4. Loben and sillness

Correct answer: 2. Loe and sillness